Light index in living room is -
1. 8
2. 15
3. 20
4. 25

Correct answer: 1. 8

Explanation: It is recommended that in living rooms, the daylight factor should be at least 8percent and in kitchens about 10 percent. REF. PARK'S TEXTBOOK OF PREVENTIVE AND SOCIAL MEDICINE 21ST EDITION. PAGE NO - 683